Treatment of choice for scabies in an infant < 6 months is?
1. BHC
2. Ivermactin
3. Permathrin
4. Crotomiton

Correct answer: 3. Permathrin

Explanation: Ans. is 'c' i.e., Permathrin Treatment of scabies in children* Topical permethrin (5% cream) is a safe and effective scabicide in children. It is recommended as a first-line therapy for patients older than 2 months of age. Because there are theoretical concerns regarding percutaneous absorption of permethrin in inf ants younger than 2 months of age, guidelines recommend 7% sulfur preparation instead of permethrin.* Gamma benzene hexachloride 1% lotion (lindane) is recommended as second-line therapy for scabies in children. But it should be used with caution in children younger than 2 years of age as systemic absorption in children can cause neurotoxicity. It should not be applied over face and scalp* Ivermectin is not approved for use in children younger than 5 years.* Crotamiton 10% cream is approved by the US Food and Drug Administration for treatment of scabies in adults, but there is very little research on its use in children.Note - permethrin is the DOC for scabies in infants older than 2 years, pregnant & nursing female.